In buphthalmos, lens is –
1. Anteroposterior flat
2. Small
3. Large
4. None of the above

Correct answer: 1. Anteroposterior flat

Explanation: The lens does not participate in the general enlargement of eye, therefore its size is normal. But it is flattened and displaced backward owing to the expansion of ciliary region and stretching of the suspensory ligament.